All of the following are used to improve attention deficit in children Except
1. Cognitive enhancement therapy
2. Cognitive behavioral therapy
3. Cognitive remediation therapy
4. Flooding

Correct answer: 4. Flooding

Explanation: attention deficit disorder is assosiated with dysfunction in attention and also hyperactivity it can be managed by improving the attention of the child and therby improving the cognition whereas flooding is used in phobia In flooding , a type of behavioral therapy, where the person is exposed to fearful stimulus suddenly, there is extinction of fear and this is called flooding. In flooding there is method of extinction of fear but sometimes it may back fire and may increase anxiety Reference: Kaplon and sadock, 11 th edition, synopsis of psychiatry, 11 th edition, pg no. 1169